Which of the following tests is most sensitive and specific test during antenatal check-up for a pregnant lady with family history of Thalassemia?
1. Hemoglobin electrophoresis
2. NESTROFT
3. High performance liquid chromatography
4. P. smear and reticulocyte count

Correct answer: 3. High performance liquid chromatography

Explanation: Naked Eye Single Tube Red Cell Osmotic Fragility Test - NESTROFT (sensitive but less specific) Hemoglobin electrophoresis does not give quanititative results for different Hb fractions HPLC (High performance liquid chromatography), best among the options given HPLC gives HbA2 percentage. HbA2 > 4% (3.5-8%) is diagnostic of thalassemia trait, along with microcytic hypochromic red cells indices CBC findings - Thalassemia trait Microcytic hypochromic red cells Normal or mildly increased RDW Target cells Increased red cell count Normal Hb or mild anemia